Mechanism of action of theophylline in bronchial asthma is :
1. Phosphodiesterase 4 inhibition
2. Beta2 agonism
3. Anticholinergic action
4. Inhibition of mucociliary clearance

Correct answer: 1. Phosphodiesterase 4 inhibition

Explanation: Theophylline is used in bronchial asthma. Its mechanism of action is:

Inhibition of phosphodiesterases particularly PDE-4.
Antagonism of adenosine receptors.
Enhancement of histone deacetylation. Acetylation of histone is required for activation of inflammatory gene transcription. By inhibiting this process, low-dose theophylline may restore responsiveness to corticosteroids.